Minimum quantity of filtered Na actually excreted is by which of the following diuretic?
1. Furesemide
2. Thiazide
3. Amiloride
4. Acetazolamide

Correct answer: 3. Amiloride

Explanation: Ans. is 'c' i.e., Amiloride